Nail involvement is not a feature of
1. Psoriasis
2. Lichenplanus
3. Dermatophytosis
4. DLE

Correct answer: 4. DLE

Explanation: D i.e. DLE